Most common cancer world wide -
1. Lung
2. Prostate
3. Liver
4. Kidneny

Correct answer: 1. Lung

Explanation: Most common cancer among world is lung cancer. Reference:Park's textbook of preventive and social medicine,K.Park,23rd edition,page no:382.